C3-nephritic factor (C3Ne) is associated with membranoproliferative glomerulonephritis. Which of the following statements regarding C3Ne is most appropriate?
1. It is a native glomerular antigen
2. It is a circulating immune complex
3. It is an IgG
4. Complement C3 convertase

Correct answer: 3. It is an IgG

Explanation: Activation of the alternate pathway of complement system is seen in type-II membranoproliferative glomerulonephritis. C3 Nephritic factor is an autoantibody of IgG class which is produced against alternate C3 convertase. C3Ne, like properdin, stabilizes the C3b which is normally degraded by regulatory complement proteins like H and I. Activation of alternate pathway of complement system immune complex deposition in the glomeruli results in membranoproliferative glomerulonephritis Ref: Fervenza F.C., Cattran D.C. (2009). Chapter 26. Membranous Nephropathy. In E.V. Lerma, J.S. Berns, A.R. Nissenson (Eds), CURRENT Diagnosis & Treatment: Nephrology & Hypertension.